Melanized sclerotic cells / Medlar bodies (4-12 mm diameter) evident in this H & E stained cutaneous biopsy are of which disease?
1. Rhinosporidiosis
2. Coccididomycosis
3. Chromoblastomycosis
4. Sporotrichosis

Correct answer: 3. Chromoblastomycosis

Explanation: The histological image above shows the fungus as spherical or irregular, dark brown, yeast like bodies with septae called sclerotic bodies/ copper penny bodies/muriform bodies/medlar bodies seen in Chromoblastomycosis. Chromoblastomycosis: Characterised by verrucous lesions and chronic localized infection of the skin and subcutaneous tissue. Seen commonly in wood workers. Caused by following dematiaceous fungi - Phialophora verrucosa Fonsecaea pedrosoi Cladophialophora carrionii Rhinocladiella aquaspersa